Frey's syndrome is associated with-
1. Sympathetic fibres of auriculo temporal nerve
2. Parasympahetic fibres of trigeminal nerve
3. Parasympathetic fibres of auriculo temporal nerve
4. Motor fibres of facial nerve

Correct answer: 3. Parasympathetic fibres of auriculo temporal nerve

Explanation: Ans, is 'c' i.e., Parasympathetic fibres of auriculo temporal nerveFrey's Syndromeo Frey's syndrome is a syndrome that includes sweating (gustatroy sweating) and facial flushing.Frey s syndrome also known as auriculotemporal syndrome or gustatory sweating is characterized by sweating and flushing of the facial skin over the parotid bed and neck during mastication.o Frey's syndrome is thought to be due to aberrant regeneration of cut parasympathetic fibres between the otic ganglion and salivary tissue which leads to innervation of sweat glands and subcutaneous tissue.o The auriculotemporal nerve is injured during sureen# of the parotid gland.This nerve when it heals attaches to sweat glands instead of the original salivary gland which was removed during surgery.This means that when a person is supposed to salivate he sweats instead.Redness and sweating appear when the affected person eats, sees, dreams thinks about or talks about foods which produce strong salivation.o Frey's syndrome is thought to occur in all patients who have parotid surgery* without reconstructive surgery.